A patient with ruptured spleen is taken for laparotomy. His blood pressure is 80/50 and heart rate is 125/min.Induction agent of choice for this patient is
1. Sodium thiopentone
2. Fentanyl
3. Ketamine
4. Halothane

Correct answer: 3. Ketamine

Explanation: Refer Goodman Gilman 12/e p 538-539 Ketamine increases all pressures Blood pressure.. Intracranial tension Introcular pressure In the body ****it is therefore intravenous anesthetic of choice for shock